Falx Cerebri contains all except
1. Straight sinus
2. Transverse sinus
3. Superior sagittal sinus
4. Inferior sagittal sinus

Correct answer: 2. Transverse sinus

Explanation: Transverse sinus is present in Tentorium cerebelli